Which of the following is not true about Neisseria gonorrhoeae aEUR'
1. It is an exclusive human pathogen
2. Some strains may cause disseminated disease
3. Acute urethritis is the most common manifestation in males
4. All strains are highly sensitive to penicillin

Correct answer: 4. All strains are highly sensitive to penicillin

Explanation: All strains are highly sensitive to penicillin Gonorrhoea is a gram negative organism. The genus Neisseria contains two important human pathogens - N. gonorrhoea - N. meningitides Neisseria gonorrhoea causes gonorrhoea and Neisseria meningitides causes meningitis. Neisseria gonorrhoea infections have a high prevalence and low mortality where as N. meningitides infections have low prevalence and high mortality. Many Neisseria species are a part of normal flora in humans and animals. Neisseria meningitides .frequently occurs in a carrier state in the absence of any disease. However, Neisseria Gonorrhoea is an "obligate pathogen" and is never part of the normal human flora under any circumstances. Gonococci is exclusive to humans Gonorrhoea is an exclusive human disease, there being no natural infection in animals. The only source of infection is a human carrier or less often a patient. In women gonococcus usually cause asymptomatic infection wheras in men the infection is usually symptomatic. Clinical features of Gonococcal infection:- Neisseria Gonorrhoea infection is acquired by sexual contacts and usually affects the mucous membrane of the urethra in males and endocervix and urethra in females. They mainly affect the host's columnar or cuboidal epithelium. - The vaginal mucosa is usually not affected in the adults because the stratified squamous epithelium is resistant to infection by the cocci and also because of the acid pH of vaginal secretions. Clinical disease as a rule is less severe in females. - In women gonococcus usually cause "asymptomatic infection" the existence of asymptomatic carriage in women makes them a reservoir serving to perpetuate infection among their male contacts. Gonococcal infection in men is usually "symptomatic". - In men the disease starts as an acute urethritis. PID - 1f gonococcal infections are asymptomatic or unrecognized may progress to P.1.D. Fitz -- Hugh Curtis syndrome - Occurs due to direct extension of the organism through fallopian tube to liver Treatment of Gonorrhoea :? "Penicillin is ineffective in treatment of Gonorrhoea as most of the strains are resistant to penicillin because penicillinase producing N. gonorrhoea have spread widely". Neisseria Gonorrhoea has become resistant to numerous antibiotics because :? a) It has got remarkable capacity to alter its antigenic structure. b) It can easily adopt to changes in microenvironment. "Now the treatment of choice for gonococcal infection is ceftriaxone". "Quinolones" are the drug of choice for penicillin allergy. In Patients who cannot tolerate both cephalosporin and quinolones, spectinomycin is the D.O.C. Gonococcal infection: DOC * D.O.C. -Ceftriaxonc * D.O.C. for penicillin allergey -*Quinolones * If cannot tolerate both cephalosporins and Quinolones --4 Spectinomycin